Superior suprarenal artery is a branch of:
1. Abdominal aorta
2. Coeliac trunk
3. Inferior phrenic artery
4. Renal artery

Correct answer: 3. Inferior phrenic artery

Explanation: Ans: c (Inferior phrenic) Ref: Chaurasia, 3rd edi., Vol-2, Pg. 266Venous drainageRight suprarenal veinIVC Left suprarenal vein Left renal veinArterial supplyArteryBranch of Superior suprarenal arteryInferior phrenic artery Middle suprarenal arteryAbdominal aorta Inferior suprarenal arteryRenal arteryNote: Accessory suprarenal glands are seen in loose areolar tissue around the main glands, spermatic cord, epididymis and broad ligament of uterus.